Histamine causes ?
1. Vasodilatation
2. Bronchoconstriction
3. Increased vascular permeability
4. All of the above

Correct answer: 4. All of the above

Explanation: Ans. is 'd' i.e., All of the above